Annexin V is a marker of:
1. Apoptosis
2. Necrosis
3. Aherosclerosis
4. Inflammation

Correct answer: 1. Apoptosis

Explanation: Apoptosis